Burns involving skin superficial part of dermis is categorized as
1. First degree burns
2. Superficial 2nd degree burn
3. Deep 2nd degree burn
4. Third degree burns

Correct answer: 2. Superficial 2nd degree burn

Explanation: First degree burns involve only epidermis Superficial second degree involve upper layer of dermis Deep second degree involves reticular layers of dermis Third degree involves all layers of skin Fourth degree burns involve not only skin but also subcutaneous fat and deeper structures